A condition in which person goes to deep sleep especially during day time
1. Somnambulism
2. Narcolepsy
3. Hypnotism
4. Epilepsy

Correct answer: 2. Narcolepsy

Explanation: SOMNOLENTIA In this condition the person is in between sleep and wakefulness. He may go to deep sleep especially in the daytime called narcolepsy. It is characterized by tetrad of Hypnagogic hallucination Sleep attacks Cataplexy Sleep paralysis Ref: FORENSIC MEDICINE AND TOXICOLOGY Dr PC IGNATIUS THIRD EDITION PAGE 371